Alcock's canal transmits:
1. Pudendal nerve
2. Obturator nerve
3. Femoral nerve
4. Sciatic nerve

Correct answer: 1. Pudendal nerve

Explanation: Ans. A. Pudendal nerveThe pudendal canal or Alcock's canal is formed by the fascia of the obturator internus muscle, or obturator fascia.It gives passage to the following;a. Internal pudendal arteryb. Internal pudendal veinsc. Pudendal nerve